Blood vessels can be harvested from a body for the purpose of transplantation latest by what period after death?
1. 8 hours
2. 12 hours
3. 48 hours
4. 72 hours

Correct answer: 4. 72 hours

Explanation: The periods within which some organs should be removed are as follows Cornea - 6 hours Skin - 24 hours Bone - 48 hours Blood vessels - 72 hours Ref: Essentials of forensic medicine and toxicology by Narayan reddy, edition 21, page 112